Which of the following organism's toxin works by same mechanism as Exotoxin A of Pseudomonas ?
1. Tetanus
2. Pertusis
3. Cholera
4. Diphtheria

Correct answer: 4. Diphtheria

Explanation: In Pseudomonas pathogenesis , several toxic extracellular products are demonstrated in culture filtrates. Few of them are exotoxins A and S . Exotoxin A acts as NADase thus resembling diptheria toxin .